The 3 dimensional shape of a protein is maintained mainly by:
1. Strong covalent interactions
2. Interactions with other proteins
3. Multiple weak interactions
4. Interactions with prosthetic groups

Correct answer: 3. Multiple weak interactions

Explanation: C i.e. Multiple weak interaction